Treatment of choice for chronic ulcerative colitis is
1. 5 aminosalicylic acid
2. Azathioprine
3. Metronidazole
4. Salicylates

Correct answer: 1. 5 aminosalicylic acid

Explanation: In mild to moderate cases of ulcerative colitis, the combination of a once-daily oral and a topical 5-aminosalicylate preparation is effective. MOA of the drug is it modulate cytokine release from mucosa. Reference : Davidson, 23rd Edition, page no : 820.